Treatment for the child with frequent tapeworm infestation -
1. Albendazole
2. Niclosamide
3. Praziquantel
4. All

Correct answer: 4. All

Explanation: Ans. is 'a' i.e., Albendazole; 'b' i.e., Niclosamide; 'c' i.e., Praziquantel